Most appropriate time for breast self-examination is ?
1. Daily
2. Pre menstrual
3. Post menstrual
4. During menstrual

Correct answer: 3. Post menstrual

Explanation: .Breast self examination plays amajor role in early detection of breast carcinoma. Ideally done once a month just after the menstruation as during this time breasts are less engorged..In post menopausal groups its done monthly at regular intervals. Examine both breasts Palpation should be done using pulp of fingers over all quandrants of breast. SRB's Manual of Surgery.Edition -5. Pg no:539